The Gold standard investigation for Gastro-Oesophageal reflux disease is:
1. Endoscopy
2. 24 hour esophageal pH recording
3. Oesophageal manometry
4. Measurement of length of lower oesophageal sphincter

Correct answer: 2. 24 hour esophageal pH recording

Explanation: 24 hour Esophageal pH recording provides a quantitative & sensitive documentation of acidic reflux episodes.